Pathological study of status asthmaticus reveals ?
1. Suppurative endobronchial exudates
2. Mucous plugs of small bronchioles
3. Necrosis of bronchi
4. None

Correct answer: 2. Mucous plugs of small bronchioles

Explanation: Ans. is 'b' i.e., Mucous plugs of small bronchioles